A most common cause of Neonatal Hypothyroidism is
1. Throid dysgenesis
2. Transplacental maternal thyroid antibodies
3. Inherited genetic disorders
4. Decreased thyroglubin

Correct answer: 1. Throid dysgenesis

Explanation: Iodine deficiency is the commonest cause of congenital hypothyroidism in certain parts of India, while thyroid dysgenesis is the most common aetiology in non-endemic areas (75% of all cases).